In TB spine the first symptom is -
1. Decreased sensation
2. Decreased motor power
3. Pain
4. Increased deep tendon reflexes.

Correct answer: 3. Pain

Explanation: Pain is the earliest and commonest symptom. Initially the pain occurs on sudden movement. Later it occurs at rest also.